The MOST common site of a peptic gastric ulcer is?
1. Upper third of lesser curvature
2. Greater curvature
3. Pyloric antrum
4. Lesser curvature near incisura angularis

Correct answer: 4. Lesser curvature near incisura angularis

Explanation: Gastric ulcers commonly occur on the lesser curvature. 95% of gastric ulcers are located on the lesser curvature and 60% of these occur within 6 cm of the pylorus. Ref: Bailey & Love 25/e, Page 1055.